In arm ulnar nerve gives muscular branch to which muscle ?
1. FCU
2. FDP
3. Both
4. None

Correct answer: 4. None

Explanation: Ans. is 'd' i.e., None